Lead pipe appearance is seen in -
1. Chron's disease
2. Ulcerative colitis
3. Schistosomiasis
4. Carcinoma colon

Correct answer: 2. Ulcerative colitis

Explanation: Leadpipe / Pipestem appearance is seen in UC.